Morbid jealousy is seen with
1. Alcoholism
2. Opium
3. Cannabis
4. Amphetamine

Correct answer: 1. Alcoholism

Explanation: Alcohol-induced jealousy: patients suspect their spouses of infidelity and the belief is morbid enough to influence various aspects of personal and social life. Reference: P.105 chap.5 Substance use disorders textbook of postgraduate psychiatry Nivas &ahuja